Anticancer drug that causes lung fibrosis is :
1. Bleomycin
2. Cisplatin
3. Fulvestrant
4. Tamoxifen

Correct answer: 1. Bleomycin